Effect of Heparin is reversed by -
1. Vitamin K
2. Protamine
3. Hirudin
4. Tranexaemicacid

Correct answer: 2. Protamine

Explanation: Ans. is 'b' i.e., Protamine "If bleeding occurs, administration of protamine sulfate is indicated".------Katzungo Specific antidote for heparin - Protamine sulfateo Specific antidote for oral anticoagulants - Vit. K1 (phytonadione)